Z-value of an organism:
1. The time required to kill 90% of cells at a particular temperature
2. The time required to kill all cells at a particular temperature
3. Is the temperature change required for the D-value to change by a factor of ten
4. Is the temperature change required for the D-value to change by a factor of five

Correct answer: 3. Is the temperature change required for the D-value to change by a factor of ten

Explanation: Ans. C. Is the temperature change required for the D-value to change by a factor of tena. D value of an organism is the time needed at a certain temperature to kill 90% of the organisms in the medium,b. Z-value of an organism is the temperature change required for the D-value to change by a factor of ten